Which of the following can be used as local anesthetic agent for infiltration if a patient is allergic to amide and ester anaesthetic derivatives
1. Nitrous oxide
2. Bupivacaine
3. Phenylephrine
4. Diphenhydramine

Correct answer: 4. Diphenhydramine